Which of following is content of anterior part of jugular foramen?
1. Vagus nerve
2. Superior petrosal sinus
3. Inferior petrosal sinus
4. Internal jugular vein

Correct answer: 3. Inferior petrosal sinus

Explanation: Ans. c (Inferior petrosal sinus) (Ref. BDC Vol. III 4th/pg. 16-19)JUGULAR FORAMEN# Behind the carotid canal is the jugular foramen, a large aperture, formed in front by the petrous portion of the temporal, and behind by the occipital; it is generally larger on the right than on the left side, and subdivided into 3 compartments.# CONTENTS:1Anterior compartment transmits# Inferior petrosal sinus.21 ntermediate transmits# Glossopharyngeal, Vagus, and Accessory nerves.3Posterior transmits# Transverse sinus and# Some meningeal branches from the occipital and ascending pharyngeal arteries. Also Know:Cranial nerve and vessel pathwaysCribriform plate(CN 1) Middle cranial fossa(CN II--VI)-- through sphenoid bone1.Optic canal (CN II, ophthalmic artery, central retinal vein).2.Superior orbital fissure (CN III, IV, VI, VI, ophthalmic vein).3.Foramen Rotundum (CN V2).4.Foramen Ovale (CN V3).5.Foramen spinosum (middle meningeal artery).Posterior cranial fossa(CN VII-XII)--through temporal or occipital bone1.Internal auditory meatus (CN VII, VIII)2.Jugular foramen (CN IX, X, XI, jugular vein)3.Hypoglossal canal (CN XII)4.Foramen magnum (spinal roots of CN XI, brain stem, vertebral arteries)